In EEG, alpha wave denotes:
1. REM sleep
2. Awake and eye closed and mind wandering
3. Sleep with eyes closed
4. Mental activity

Correct answer: 2. Awake and eye closed and mind wandering

Explanation: Ans. B: Awake and eye closed and mind wandering